Bronchoalveloar lavage is beneficial in the evaluation of:
1. Squamous cell cancer lung
2. Bronchiectasis
3. Bronchopleural fistula
4. Pulmonary alveolar Proteinosis

Correct answer: 4. Pulmonary alveolar Proteinosis

Explanation: Pulmonary alveolar proteinosis can be diagnosed by Bronchoscopy with transbronchial biopsy and BAL may be helpful. Bronchoalveolar lavage fluid appears "milky". Papanicolaou staining may reveal green and orange globules that are diagnostic for PAP. Electron microscopy of BAL may reveal characteristic multi-lamellar structures. Non small cell cancer lung is diagnosed by bronchoscopy with biopsy Bronchiectasis is diagnosed with HRCT scan Bronchopleural fistula is diagnosed with bronchoscopy and is usually a complication of lung cancer surgery